In an isotonic contraction of the muscle:
1. The muscle moves a load through a distance
2. The muscle is not able to move the load
3. The latent period of contraction is shorter than isometric contraction
4. The length of muscle is increased

Correct answer: 1. The muscle moves a load through a distance